Neuronal degeneration is seen in all of the following except
1. Crush nerve injury
2. Fetal development
3. Senescence
4. Neuropraxia

Correct answer: 4. Neuropraxia

Explanation: Neurapraxia is a disorder of the peripheral nervous system in which there is a temporary loss of motor and sensory function due to blockage of nerve conduction, usually lasting an average of six to eight weeks before full recovery. This condition is typically caused by a blunt neural injury due to external blows or shock-like injuries to muscle fibers and skeletal nerve fibers, which leads to repeated or prolonged pressure buildup on the nerve. Ref: guyton and hall textbook of medical physiology 12 edition page number:74,75